Double based smokeless gun powder consists of:
1. Nitrocellulose plus nitroglycerine
2. Nitrocellulose plus sulphur
3. Potassium nitrate plus nitroglycerine
4. Potassium nitrate plus charcoal

Correct answer: 1. Nitrocellulose plus nitroglycerine

Explanation: Ans. a. Nitrocellulose plus Nitroglycerine (Ref: Reddy 33/e p210, 29/e p192)Double based smokeless gun powder consists of Nitrocellulose plus Nitroglycerine.Gun-PowderSmokeless PowderSmoke producing powdersSemismokeless powderNitrocellulose (gun cotton)QNitrocellulose and Nitroglycerine (double base)Q* Black Powder:- It is described in FG, FFG, FFFG and so on depending on the size of die grains.- The finer and faster burning grains have more numbers of Fs.- It contains PCSQ- Potassium nitrate (75%)Q- Charcoal (15%)Q- Sulphur (10%)Q* Pyrodex:- PCS - Potassium perchlorate, Sodium benzoate, Dicyandiamide, Dextrin wax and graphite80% of black and 20% of smokeless powderQ